All the following are true about a PHC except:
1. Caters about 20,000- 30,000 people
2. Provide water and sanitation and basic health requirements
3. Family planning services
4. There is one medical officer and 5 nurses

Correct answer: 4. There is one medical officer and 5 nurses

Explanation: Ans: d (There is one medical officer and 5 nurses) Ref: Park, 19 ed, p.752The functions of a PHC include:1 Medical care2 MCH including family planning3 Safe water supply and basic sanitation4 Prevention and control of locally endemic diseases5 Collection and reporting of vital statistics6 Education about health7 National health programmes8 Referral services9 Training of health guides, workers local dais and health assistants10 Basic laboratory services.Population catered at various levels:Sub- centre:Male and female health worker[5000 in plain areas3000 in hilly areasPHC: Health assistant male and female[ 30.000 in plain areas20.000 in hilly areasCommunity health centre:80.000- 1.2 lacsVillage health guide.Anganwadi worker.Accredited social health activist(ASHA)Trained dai1000 peoplePharmacistLab technician10,000